All of the following statements about Lupus Anticoagulant are true, EXCEPT:
1. May present with an isolated prolongation ofAPTT
2. May present with Recurrent Abortions
3. May occur with minimal clinical manifestations
4. Thrombotic spells can be followed by severe life threatening hemorrhage

Correct answer: 4. Thrombotic spells can be followed by severe life threatening hemorrhage

Explanation: Catastrophic Life threatening Antiphospholipid Syndrome results from rapid onset thrombosis and ischemia in multiple organ systems and not from severe bleeding. However such bleeding episodes are rare after thrombotic spells even with severe thrombocytopenia, not leading to life threatening hemorrhage and occur as a result of consumptive thrombocytopenia. Hemorrhage is rarely associated with Lupus anticoagulant. Ref: Hematological Complications in Obstetrics, Pregnancy and Gynecology By Rodger. L. Bick, Pages 150-152; Quality in Laboratory Hemostasis and Thrombosis By Steve Kitchen, Chapter 16;The Lupus Book: A Guide for Patients and Their Families By Daniel J. Wallace, 4th Edition, Chapter 21